Induction at term is indicated in all of the following, EXCEPT:
1. Hypertension
2. Diabetes Mellitus
3. Heart disease
4. Renal disease

Correct answer: 3. Heart disease

Explanation: Induction of labour is to initiate uterine contractionsafter the period of viability by any method - medical, surgical or combined solely for the purpose of vaginal delivery. Among all the options given above, heart disease is not an indication to induce labour rather it is an established contraindication to induce labour. Ref: Management of Common Problems in Obstetrics and Gynecology edited by T. Murphy Goodwin, Martin N. Montoro, Laila Muderspach, Richard Paulson, Subir Roy; 5th edition, Chapter 9; Dutta textbook of Obstetrics 6th edition, Pages 520-21